Amino acid required for formation of thyroxine-
1. Tryptophan
2. Tyrosine
3. Glutamine
4. Cysteine

Correct answer: 2. Tyrosine

Explanation: Ans. is 'b' i.e.. Tyrosine o The term thyroid hormone denotes both thyroxine (T4) and triodothyronine (T3).o Both T4 and T are iodine derivatives of thyronine.o Thyronine is a condensation product of two molecules of amino acid tyrosine.o Thyroxine is 3, 5, 3', 5' - tetraiodothvronineandT, is 3,5,3'-triiodothyronine.o Thyroid hormones are synthesized and stored in the thyroid follicles as apart of thyroglobulin molecule.